Lysosomal membrane has:
1. Sodium pump
2. Potassium pump
3. Hydrogen pump
4. All

Correct answer: 3. Hydrogen pump

Explanation: Lysosomes have hydrogen pump, it leads to production of acidic enzymes. They help in degradation of substances Ref:Guyton and Hall textbook of medical physiology 12th edition,page number: 12,13,16